All of the following statements about Chlamydia trachomatis are true except -
1. Genital chlamydial infections are often asymptomatic
2. Can be cultured
3. Inclusion conjunctivitis is caused by C. trachomatis serotypes D-K
4. Penicillin is the treatment of choice

Correct answer: 4. Penicillin is the treatment of choice